Runt disease is due to
1. Hypogammaglobulinemia
2. GVHD
3. Autoimmunity
4. Immunosuppression

Correct answer: 2. GVHD

Explanation: Runt disease is graft versus host disease produced experimentally in Laboratory animals.